Branches of pudendal nerve are all except
1. Perineal nerve
2. Inferior rectal nerve
3. Dorsal nerve of clitoris
4. Genitofemoral nerve

Correct answer: 4. Genitofemoral nerve

Explanation: Genitofemoral nerve is not a branch of pudendal nerve.